The risk of endometrial cancer is highest with the following histological pattern of endometrial hyperplasia:
1. Simple hyperplasia without atypia
2. Simple hyperplasia with atypia
3. Complex hyperplasia without atypia
4. Complex hyperplasia with atypia

Correct answer: 4. Complex hyperplasia with atypia